Which disease is caused by anti - phospholipase receptor antibody?
1. Membranoproliferative glomerulopathy
2. Membranous glomerulopathy
3. Focal segmental glomerulosclerosis
4. Minimal change disease

Correct answer: 2. Membranous glomerulopathy

Explanation: Primary Membranous nephropathy Most common cause of nephrotic syndrome in elderly patients. Has Anti-Phospholipase Receptor Ab. It is a form of chronicimmune-complex-mediateddisease. On light M/E- Diffusethickening of theglomerular capillary walldue to the accumulation of deposits containingIgalong thesubepithelialside of the basement membrane. On Electron M/E- Subepithelial deposits are seen. On Immunofluorescence M/E:granular deposits containing Ig and complement along the glomerular basement membrane